Who introduced the vaccination for smallpox?
1. Edward Jenner
2. Louis Pasteur
3. Mathieu Orfila
4. John snow

Correct answer: 1. Edward Jenner

Explanation: "Edward Jenner introduced vaccination for smallpox with cowpox virus in 1798" Ref: Ananthanarayanan, 7/e, Page 5-7